Drug with elimination by lsl order kinetics -
1. Opioids
2. Verapamil
3. Lignocaine
4. All of the above

Correct answer: 4. All of the above

Explanation: Ans. is 'd' i.e., All of the above o Most of the drugs follow first order kinetics except following which follow zero order kinetics.# Phenytoin# Tolbutamide# Theophylline# Warfarin# Alcohol# Salicylates (Aspirin)